Best view to detect minimal Right sided pleural effusion
1. Right lateral decubitus view
2. Left lateral decubitus view
3. Right oblique view
4. Left oblique view

Correct answer: 1. Right lateral decubitus view

Explanation: As little as 10 - 25 ml of fluied can be demonstrated.